Patient on att is having problem in distinguishingred-green lights. The agent responsible is
1. Capreomycin
2. Ethambutol
3. Ethionamide
4. Some 2nd line agents

Correct answer: 2. Ethambutol

Explanation: (B) (Ethambutol) (269-KDT 7th)* Loss of visual acquity/ colour vision, field defects due to optic neuritis is the most important dose and duration of therapy dependent toxicity seen in ETHAMBUTOL* Other side effects are - Nausea, rashes fever rarely peripheral neuritis, Hyperuricemia * *** Contraindicated in optic neuritisDrugSide effectsETHIONAMIDE* Salivation, metallic taste, epigastric discomfort, sulfiirous belching and hepatitis, rash peripheral neuritis, behavioueral changes, impotence, menstrual disturbance and goiter on prolonged useCapreomycin* Ototoxicity and nephrotoxicity eosinophelia, rashes, fever injection site painCycloserine* Primarily neurological sleepness, tremor, slurring of speech altered behavior, depression or frank psychosis **RifabutinGi intolerance, granulocytopenia myalgia, and UveitisPara-amino salicylic acid (PAS)Rashes, fever, malaise, hypokalaemia, goiter, liver disfunction and rarely blood dyscrasias* MDR gene acts by - causes efflux of drug* Peripheral Neuropathy in 1NH therapy is more common in following groupsSlow Acetylators* Diabetes patients* AnemiaHypoprotenemia (Protein Energy Malnutrition)* Urine and secretions in patients receiving Rifampicin may become orange- red **.* Rifampicin is primarily metabolized in the liver and excreted in bile, so Rifampicin does not require dosage adjustment in renal failure**